A 30-year-old male presents with pain on the right flank and hematuria. A CECT abdomen reveals a large 8 x 8 cm sized solid mass in the right kidney and 3 x 3 cm solid mass occupying the upper pole of the left kidney. The most appropriate surgical treatment for this pt is -
1. Bilateral radical nephrectomy
2. Right radical nephrectomy and biopsy of the mass from opposite kidney.
3. Right radical nephrectomy and left partial nephrectomy
4. Right radical nephrectomy only.

Correct answer: 3. Right radical nephrectomy and left partial nephrectomy

Explanation: This male pt. with flank pain, hematuria and demonstration of a solid renal mass is having renal cell carcinoma (in clinical practice any solid renal mass is considered RCC until proved otherwise) For patients with bilateral RCCs, partial nephrectomy with an adequate parenchymal margin is the preferred approach for kidney with the smaller lesion. Partial nephrectomy or Nephron-sparing procedures are found to be equally effective on radical nephrectomy if the tumor size is less than 4 cms. Ref : Smith's Urology 17/e p336